Guaiac slide test is used for
1. Fecal occult stool test
2. H. Pylori detection
3. Bile acids in stool
4. None of the above

Correct answer: 1. Fecal occult stool test